Which of the following glial cells helps in myelination of CNS neurons?
1. Astrocytes
2. Schwann cells
3. Microglial cells
4. Oligodendrocytes

Correct answer: 4. Oligodendrocytes